Which of following is not a feature in diabetic retinopathy on fundus examination:
1. Microaneurysms
2. Retinal hemorrhages
3. Arteriolar dilatation
4. Neovascularisation

Correct answer: 3. Arteriolar dilatation

Explanation: Arteriolar dilation does not occur in diabetic retinopathy. Ref: Clinical Ophthalmology By Kanski, 3rd Edition, Page 359 and 4th Edition, Pages 465-6 ; Comprehensive Ophthalmology By A K Khurana, 4th Edition, Page 259-62